Absorption of vitamin K requires normal absorption of:
1. Fat
2. Amino acids
3. Calcium
4. Glucose

Correct answer: 1. Fat